True about hepatitis A viurs ?
1. Causes cirrhosis
2. Helps HDV replication
3. Common cause of hepatitis in children
4. Causes chronic hepatitis

Correct answer: 3. Common cause of hepatitis in children

Explanation: Ans. is 'c' i.e., Common cause of hepatitis in children HAV is the most common cause of hepatitis in children. HAV does not cause chronic hepatitis or cirrhosis. HBV (no HAV) helps in HDV replication.